Which of the following is false about DNA methylation
1. It usually occurs on cytosine bases
2. It increase Gene Expression
3. It decrease gene expression
4. It is a type of epigentic modification

Correct answer: 2. It increase Gene Expression

Explanation: Note: Refer the byte "Epigenetics"
Mnemonic: DNA Methylation makes DNA Mute.